True about shigella dysenteriae Type-I
1. Can lead to haemolytic uraemic syndrome
2. Commonest cause of dysentery
3. Produce exotoxin which cause invasive gastroenteritis
4. Lactose fermentation present

Correct answer: 1. Can lead to haemolytic uraemic syndrome

Explanation: (A) Can lead to haemolytic uraemic syndrome # Shigella dysenteriae type-l has several unique features, that contrast it with other members of this family> Catalase is produced by all except Sh. dysenteriae Type-l (Catalase -ve)> Mannitol is fermented by all except Sh. dysentriae Type-l (Mannitol non-fermenter)> It produces a powerful exotoxin, and is an e.g. is an e.g. of an exotoxin produced by Gram -ve bacillus.> It produces the most severe from of bacillary dysentery> It is also the most common cause for HUS in India (although it is a rare complication)